Which of the following statement regarding Nitric Oxide Synthase is TRUE?
1. It is inhibited by Calcium
2. It accepts electrons from NADH
3. It catalyzes a dioxygenase reaction
4. It requires NADPH, FAD, FMN and Heme iron

Correct answer: 4. It requires NADPH, FAD, FMN and Heme iron

Explanation: Nitric oxide synthase is an enzyme required for the synthesis of nitric oxide from arginine. It is a dimeric protein and contains heme, FAD, FMN, tetrahydrobiopterin and calmodulin. This enzyme utilises molecular oxygen and NADPH. Ref: Harper's Illustrated Biochemistry, 26th Edition, Page 572; Lippincott's Biochemistry, 2nd Edition, Page 85; Textbook of Biochemistry By D M Vasudevan, 3rd Edition, Page 178